Catgut is generally prepared from intestinal submucosa of:
1. Cat
2. Sheep
3. Human
4. Rabbit

Correct answer: 2. Sheep

Explanation: Ans: B (Sheep) Catgyt is generally prepared from submucosa of: Sheep or cattle: L & B 25th/ 238Sheep & beef- Sabiston 18th/271Bovine: CSDTllth/94CATGUT# It is a type of cord that is prepared from the natural fibre found in the walls of animal intestines. Usually sheep or goat intestines are used, but it is occasionally made from the intestines of cattle, hogs, horses, mules, ordonkeys.ManufactureCatgut suture is made by twisting together strands of purified collagen taken from the serosal or submucosal layer of the small intestine of healthy ruminants (cattle,sheep, goats) or from beef tendon2 The natural plain thread is precision ground in order to achieve a monofilament character and treated with a glycerol-containing solution. The suture is sterilized with ethylene oxide gas & is of straw-coloredAlthough the name implies the usage of guts of cats, there is no record of feline guts being used for this purpose.It is a type of surgical suture that is naturally degraded by the body's own proteolytic enzymes. Absorption is complete by 90 days, and full tensile strength remains for at least 7 days. This eventual disintegration makes it good for use in rapidly-healing tissues and in internal structures that cannot be re-accessed for suture removal.Catgut suture has high knot-pull tensile strength and good knot security due to special excellent handling features. It is used for all surgical procedures including general closure, ophthalmic, orthopedics, obstetrics/gynecology and gastrointestinal surgery. It is absorbed faster in patients with cancer, anemia, and malnutrition. It also absorbed faster when used in the mouthand in the vagina, due to the presence of microorganisms.Catgut has largely been replaced by synthetic absorbable polymers such as Vicryl and polvdioxanone. It is not used at all for human surgery in some countries.In Europe and Japan, gut sutures have been banned due to concerns that they could transmit bovine spongiform encephalopathy (mad-cow disease), although the herds from which gut is harvested are certified BSE-free.VariantsChromic catgut suture is a variant treated with chromic acid salts. This treatment produces roughly twice the stitch- bolding time of plain catgut, but greater tissue inflammation occurs. Full tensile strength is extended to 18-21 days. It is brown rather than straw-colored, and has improved smoothness due to the dry presentation of the thread (plain catgut is wet). It is otherwise similar to plain catgut.Fast catgut suture is heat-treated to give even more rapid absorption in the body.